Deamination of 'methylated cytosine' will produce:
1. Thymine
2. Adenine
3. Xanthine
4. Guanine

Correct answer: 1. Thymine

Explanation: Spontaneous deamination of Cytosine produces Uracil. Thymine is 5-Methyl Uracil. So, deamination of methylated Cytosine will produce Thymine.